Which is not an effect of T3 hormone?
1. It increases the heart rate
2. It increases the stroke volume
3. It decreases the peripheral resistance
4. It decreases pulse pressure

Correct answer: 4. It decreases pulse pressure

Explanation: Triiodothyronine (T3) is a hormone that helps regulate growth and development, helps control metabolism and body temperature, and, by a negative-feedback system, acts to inhibit the secretion of thyrotropin by the pituitary gland. Triiodothyronine is produced mainly from the deiodination of thyroxine in the peripheral tissues but is also synthesized by and stored in the thyroid gland as an amino acid residue of the protein thyroglobulin. Triiodothyronine circulates in the plasma, where it is boundmainly to thyroxine-binding globulin and thyroxine-binding prealbumin, proteins that protect the hormone from metabolism and excretion during its half-life of 2 days or less before it is degraded in the liver. The hormone is the most active thyroid hormone and affects all body processes, including gene expressions. It is a component of various drugs, such as liotrix, and liothyronine sodium, used in the treatment of hypothyroidism and simple goiter. Normal adult blood levels are110 to 230 ng/dL.Ref: Ganong's review of medical physiology; 24th edition; page no-347